Radial keratotomy is used as treatment modality for:
1. Small degree in myopia
2. Progressive non healing ulcer
3. High astigmatism
4. High hypermetropia

Correct answer: 1. Small degree in myopia

Explanation: A i.e. Small degree myopia Radial Keratotomy is used for myopia of 1-6D.Q Treatment of Myopia Surgery Range of myopia * Methods to induce flattening of central cornea 1. Radial keratotomy 1-6 D 2. Photorefractive keratotomy (PRK) 1-6 D 3. Automated lamellar keratectomy (ALK) 6-32 D 4. Excimer Laser Assisted Insitu Keratomileusis (LASIK) 2-12 D (upto 30 D) 5. LASEK 1-6 D 6. Intracorneal rings (ICR) 1-6 D * Methods to reduce overall refractory power of eye 1. Clear lens extraction > 15 D